Angular movement is sensed by -
1. Cochlea
2. Saccule
3. Utricle
4. Semicircular canal

Correct answer: 4. Semicircular canal